In starvation death, atrophy is seen in all, except:
1. Heart
2. Kidney
3. Liver
4. Brain

Correct answer: 4. Brain

Explanation: Ans. Brain